Breteau Index is used for:
1. Anopheles
2. Aedes aegypti
3. Culex
4. Hookworm

Correct answer: 2. Aedes aegypti

Explanation: Indices of surveillance of Yellow Fever: 1. Breteau index: No of containers showing breeding of aedes larvae / total no of house surveyed X 100. It should be <1% in town , seaports & in endemic areas to ensure freedom from yellow fever. 2. House index . 3. Container index.